Gallbladder in starvation death is:
1. Contracted
2. Distended
3. Mummified
4. Not affected

Correct answer: 2. Distended

Explanation: Ans. Distended